Concussion implies luxation injury
1. Without displacement and normal mobility
2. Without displacement and increased mobility
3. Displacement in an apical direction
4. Displacement in a coronal direction

Correct answer: 1. Without displacement and normal mobility